Treatment of choice of sweet syndrome is
1. Antibiotic
2. Antifungal
3. Corticosteroid
4. UV light

Correct answer: 3. Corticosteroid

Explanation: Ref:- Sima Jain; pg num:- 154